Eruption of Maxillary Canine occur at
1. 8-9 year
2. 10-11 year
3. 11-12 year
4. 15-16 year

Correct answer: 3. 11-12 year